False about kernicterus is:
1. No long-term effect
2. Occurs with bilirubin more than 25 mg%
3. Deposition in basal ganglion
4. Opisthotonus

Correct answer: 1. No long-term effect

Explanation: A. No long-term effect(Ref: Nelson's 20/e p 876-880, Ghai 8/e p 327-329)Kernicterus is due to deposition of conjugated bilirubin in basal ganglia.Mnemonic for features of Chronic Bilirubin Encephalopathy (Kernicterius): "S-A-D M-U-M"